All of the following act as cell adhesion molecules, EXCEPT:
1. Integrin
2. Selectin
3. Cadherin
4. Lecithin

Correct answer: 4. Lecithin

Explanation: Most adhesion proteins, also called CAMs (cell adhesion molecules), can be classified into four main families: immunoglobulin family CAMs, cadherins, integrins, and selectins. Ref: Robbins 8th edition, Chapter 3.